All of the following antiepileptic agents act Na+ channel except -
1. Vigabatrin
2. Phenytoin
3. Valproate
4. Lamotrigine

Correct answer: 1. Vigabatrin

Explanation: Ans. is 'a' i.e., Vigabatrin Mechanism of action of different antiepileptics. Prolongation of Na+ channel inactivation Facilitation of GABA mediated Cl- channel opening Inhibition of T type Ca++ current Decrease of excitatory neurotransmission o Phenytoin o Carbamazepine o Valproate o Lamotrigine o Topiramate o Zonisamide o Barbiturates o Benzodiazepine o Vigabatrin o Valproate o Gabapentin o Tiagabine o Ethosuximide o Trimethadione o Valproate o Felbamale